Grading of cancer based on ?
1. Differentiation
2. Tumor necrosis
3. Tumor size
4. Lymph node status

Correct answer: 1. Differentiation

Explanation: Ans. is 'a' i.e. Differentiation